The patient is delivered by cesarean section under general anaesthesia. The baby and placenta are easily delivered, but the uterus is noted to be boggy and atonic despite the intravenous infusion of Pitocin. All of the following are appropriate agents to use next Except
1. Methylergonovine (Methergine) administered intramuscularly
2. Prostaglandin F2a intramuscularly
3. Misoprostol (Cytotec) suppositories
4. Terbutaline administered intravenously

Correct answer: 4. Terbutaline administered intravenously

Explanation: Methylergonovine, prostaglandin F2a, prostaglandin E1 (Misoprostol), and prostaglandin E2 (Hemabate)are all uterotonic agents that can be used in situations where there is a postpartum haemorrhage due to uterine atony.Terbutaline would be contraindicated in this situation because it is a tocolytic that is used to promote uterine relaxation.